Causes of breech presentation are :
1. Hydrocephalus
2. Placenta praevia
3. Pelvic contracture
4. All of the above

Correct answer: 4. All of the above

Explanation: Ans. is a, c and d i.e. Hydrocephalus; Pelvic contracture; and Placenta praevia At 28 weeks of pregnancy, approximately 20% of women have breech presentation. The fetus undergoes spontaneous version usually between 30th and 34th week. This corrects the breech position such that, at term only 3% of pregnant women have breech presentation. Any maternal or fetal condition, which prevents this spontaneous version will result in a persistent breech presentation. Causes of Breech presentation Most common cause-prematurity. Utner Causes . Factors preventing spontaneous version - hininonic ASD BEtween Oesophagus and Trachea Atrial Anomalies of uterus (septate / bicornuate) Anomalies of fetus (trisomy 13, 18, 21) Septa! Short cord Defect - lntra Uterine Death BEtween Breech with Extended Legs Oesophagus- Oligohydraminos Trachea - Twins Favourable adaptation : * Hydrocephalus Placenta praevia Cornufundal attachment of the placentadeg Contracted pelvis Undue mobility of the fetus : * Hydramniosdeg Multiparaedeg with lax abdominal wall Also Know Recurrent breech : When breech recurs in 3 or more consecutive pregnancies, it is called habitual or recurrent breech. Causes: * Congenital malformation of uterus (septate or bicornuate). Repeated cornufundal attachment of the placenta.